A 28-year-old woman presents with a recent episode of coughing up some blood, frequent nosebleeds, and now decreased urine output. A nasal mucosa ulcer was seen on inspection. Her urinalysis is positive for protein and red cells consistent with a GN. The CXR shows two cavitary lesions and her serology is positive for antineutrophil cytoplasmic antibodies (ANCA). Which of the following is the most likely diagnosis?
1. Wegener's granulomatosis
2. bacterial endocarditis
3. Goodpasture's syndrome
4. lupus erythematosus

Correct answer: 1. Wegener's granulomatosis

Explanation: Numerous diseases are associated with renal and pulmonary manifestations, including lupus, Goodpasture's syndrome, and Wegener's granulomatosis. Wegener's is typically associated with antineutrophil cytoplasmic antibodies.